Drug of choice for Herpes simplex Endophthalmitis is –
1. Acyclovir
2. Vidarabine
3. Amantidine
4. Interferon

Correct answer: 1. Acyclovir

Explanation: Acyclovir is the drug of choice for HSV infection.